The smallest caranial nerve is the-
1. Olfactory
2. Oculomotor
3. Trochlear
4. Accessry

Correct answer: 3. Trochlear

Explanation: C i.e. Trochlear